A 8 month old baby will be able to do which of the following:
1. Stable sitting
2. Pincer grasp
3. Stands without support
4. Says mama

Correct answer: 1. Stable sitting

Explanation: Ans. A: Stable Sitting Pincer grasp is attained by 9-10 months Stands without support at 12 months Says mama (bisyllables) at 9 months